Sympathetic stimulation has following effect on insulin release
1. Stimulation
2. Inhibition
3. Inhibition followed by stimulation
4. No effect

Correct answer: 2. Inhibition

Explanation: Sympathetic stimulation decreases the release of insulin Ref: guyton and hall textbook of medical physiology 12 edition page number:610,611,612